The dose of betamethasone in prenatal to prevent respiratory distress syndrome is
1. 6 mg
2. 12 mg two doses 24 hours apart
3. 6 mg every 12 hours
4. 4 mg stat

Correct answer: 2. 12 mg two doses 24 hours apart

Explanation: Betamethasone is the antenatal corticosteroid of choice and the recommendation is to give 2 doses of 12mg intramuscularly 24 hrs apart to all pregnant women in preterm labour between 24 and 35 wks irrespective of whether the membranes are intact or not. This is to reduce the rate of respiratory distress syndrome and intraventricular hemorrhage. The other option is dexamethasone 6mg every 12hrs for 4 doses. Reference : page 194 Textbook of Obstetrics Sheila Balakrishnan 2nd edition